A patient had undergo suction evacuation for 10 weeks pregnancy. Three days later she came back with profuse vaginal bleeding and abdominal pain. The most likely diagnosis is :
1. Uterine atony
2. Cervical injury
3. Retained products
4. Uterine perforation

Correct answer: 3. Retained products

Explanation: Retained products